Wilm's tumor occurs in:
1. Stomach
2. Bronchus
3. Liver
4. Kidney

Correct answer: 4. Kidney

Explanation: Wilms tumor is nephroblastoma of kidney that occurs in children.
Renin-secreting tumors are clear examples of renin-dependent hypertension. In the kidney, these tumors include benign hemangiopericytomas of the juxtaglomerular apparatus and, infrequently, renal carcinomas, including Wilms’ tumors. Renin-producing carcinomas also have been described in lung, liver, pancreas, colon, and adrenals. Renovascular hypertension is another renin-mediated form of hypertension. Obstruction of the renal artery leads to decreased renal perfusion pressure, thereby stimulating renin secretion. Over time, possibly as a consequence of secondary renal damage, this form of hypertension may become less renin-dependent.
Reference: : Davidson P R I N C I P L E S   and Practice O F M E D I C I N E 23rd edition page no  1893